The internal pudendal artery supplies which of the following
1. Proximal vagina
2. Distal vaginal walls
3. Posterior vaginal wall
4. Bladder trigone

Correct answer: 2. Distal vaginal walls

Explanation: Proximal vagina → 

Cervical branch of uterine artery
Vaginal artery

Posterior vaginal wall → Middle rectal artery
Distal vaginal wall → Internal pudendal artery.